Which one of the following drugs is associated with the development of a lupus-like syndrome, especially in patients identified as "slow acetylators"?
1. Arniodarone
2. Clonidine
3. Nitroglycerin
4. Procainamide

Correct answer: 4. Procainamide

Explanation: Procainamide is metabolized by N-acetyltransferase (a phase II drug metabolism reaction) to form N-acetyl-procainamide (NAPA), which itself has antiarrhythmic activity. Patients who are classified as slow acetylators may develop SLE-like symptoms when treated with procainamide. Other drugs metabolized via N-acetyltransferase, including isoniazid and hydralazine, have also been associated with lupus-like symptoms in slow acetylators.